Apixaban is a new drug that acts by:
1. Inhibiting TNF alpha
2. Inhibiting coagulation factor Xa
3. Inhibiting platelet aggregation
4. Activating plasminogen

Correct answer: 2. Inhibiting coagulation factor Xa

Explanation: Ans. (B) Inhibiting coagulation factor Xa:(Ref: Harrison 18/e p1000, KDT 8/e p671)Rivaroxaban and Apixaban are newer oral anticoagulants that act by inhibiting factor Xa.Newer oral anticoagulants that are currently being asked in the exams are:Dabigatran (Direct thrombin inhibitor)RivaroxabanApixaban